The cranial nerve emerging between pyramid and olive is?
1. VI
2. VII
3. XI
4. XII

Correct answer: 4. XII

Explanation: Nerves emerging b/w pyramid and olive is - CN XII Nerves emerging posterior to olive - CN IX, X & XI. At ponto-medullary junction: Most medial nerve - CN VI. Middle - CN VII (motor & sensory) Most lateral nerve - CN VIII CN Emergence 1 Comes from nose, synapse in olfactory bulb. 2 Comes from orbit 3 Cerebral peduncular fossa of midbrain 4 Dorsal aspect of midbrain 5 Pons. 6, 7, 8 Pontomedullary junction 9, 10, 11, 12 Medulla oblongata